Which of the following is not an ophthalmic emergency:
1. Macular hole
2. Retinal Detachment
3. CRAO
4. Acute primary angle closure glaucoma

Correct answer: 1. Macular hole

Explanation: Ans. Macular hole